THEME AND FOCUS: CHEMISTRY OF CARBOHYDRATES Case: A 54 year old women who was bed bound in a nursing home began to develop swelling of her left leg. She was diagnosed with Venous Doppler ultrasound and was found to have a deep vein thrombosis. Lead Question: She should be treated with which chemical so as to prevent the clot from enlarging.
1. Digitalis
2. Ouabain
3. Heparin
4. Heparan sulfate

Correct answer: 3. Heparin

Explanation: Heparin: Heparin is an anticoagulant that binds to antithrombin and activates it, which in turn inactivates thrombin. Thus heparin will prevent the clot from enlarging in this patient. Use of Heparin best anticoagulant Estimation of pH, Blood gases, Electrolytes, and Ionized calcium. Digitalis: Drug of choice for treating congestive heart failure and arrhythmias. Ouabain: A plant-derived glycoside Inhibits active transport of Na+ in the cardiac muscle. In lower doses, it can be used in treating arrythmias. Glycosaminoglycans long linear (unbranched) polysaccharides consisting of repeating disaccharide (double sugar) units. Heparin & heparin sulfate